Ventricular hypertrophy means -
1. Systolic dysfunction
2. Diastolic dysfunction
3. Asystole
4. None

Correct answer: 2. Diastolic dysfunction